All of the following statements about lymphoepithelioma of the parotid gland are true, except:
1. Parotid gland is the most common site of lymphoepithelioma in the head and neck region
2. It is associated with EBV infection
3. It is highly radiosensitive
4. It is type of squamous cell carcinoma

Correct answer: 1. Parotid gland is the most common site of lymphoepithelioma in the head and neck region

Explanation: Ans. (a) Parotid gland is the most common side of lymphoepithelioma in the Head and Neck regionRef: Devita 9/e p729, 752, 774 Lymphoepithelioma:* Most common site Nasopharynx > Tonsils > Base of Tongue (Rare in Parotid)* Variant of SCC.* EBV is linked with etiology of this tumor* Highly radiosensitive tumor* High tendency to produce metastasis.